Ulcer on penis which bleeds on touch, is feature that best in which of the following -
1. Donovanosis
2. Syphilis
3. Herpes genitalis
4. LGV

Correct answer: 1. Donovanosis

Explanation: Donovanosis is caused by Klebsiella granulomatis. There is a single ( sometimes multiple) asymptomatic ulcer . Floor is made of beefy , exuberant granulation tissues which bleeds easily on manipulation. From illustrated synopsis of dermatology and sexually transmitted diseases neena khanna 5th edition page no 329